Gamma carboxylation is done by which vitamin-
1. Vitamin K
2. Vitamin D
3. Vitamin C
4. Vitamin A

Correct answer: 1. Vitamin K

Explanation: Ans. is 'a' i.e., Vitamin K* Vitamin K plays an important role in blood coagulation for it is required for the post-translational processing of several clotting factors (factor II, VII, IX and X).* Maturation of these clotting factors requires the conversion of glutamyl residues of precursor proteins into g-carboxyglutamate (Gla) residues by addition of carboxylate group. This carboxylation of glutamyl resdiue is vitamin K dependent.* The g-carboxyglutamate (Gla) residues so formed serve as binding site for calcium ions. Each Gla contains two negative charges which chelate the positive calcium ion.* After binding to Gla residue on activated clotting factor, calcium binds with negatively charged phospholipids present on the platelet cell membrane.* In this way, bridging of the phospholipids the Gla residue ofprothromin occurs via calcium ion